Which of the following is not included in the 'SAFE' strategy?
1. Supplementation of vitamins
2. Antibiotics
3. Face washing
4. Improvement of the environment

Correct answer: 1. Supplementation of vitamins

Explanation: Ans. is 'a' i.e. Supplementation of vitamins 'SAFE' strategy is a WHO recommended strategy to fight trachoma.'SAFE' strategy for Trachoma It includesSurgery - first component of the strategy for correction of trichiasis and entropionAntibiotics - Zithromax (<azithromycin) single dose oral medication is used (Zithromax is donated by Pfizer Inc.) Tetracycline eye ointment was used before Pfizer donated Zithromax.Face washing -breaks the cycle of reinfection and prevents transmission of disease.Environmental Improvement - Poverty and poor living conditions contribute to high rates of blinding trachoma. Environmental improvement includesavailability of improved water suppliesimproved household sanitation, particularly safe disposal of faeces.